Burkitt's virus is -
1. EBV
2. HPV
3. HIV
4. HAV

Correct answer: 1. EBV

Explanation: In 1958 Burkitt described an unusual lymphoma among children. One virus abseved in the cutured lymphoma cells by epstien REF:ANANTHANARYANAN TEXT BOOK OF MICROBIOLOGY 9EDITION PGNO.474